A women with Body Mass index of 20 is -
1. Undernourished
2. Normal
3. Overweight
4. Obese

Correct answer: 2. Normal

Explanation: Normal BMI = 18.5 to 24.99 kg/ m sq Ref- Park's textbook of Preventive and Social Medicine 24th edition. .